Ketamine should be avoided in :
1. The presence of increased arterial pressure
2. Pregnancy
3. Hypovolemic shock
4. Asthmatic

Correct answer: 1. The presence of increased arterial pressure